Hanging cast is used for-
1. Femur fracture
2. Radius fracture
3. Humerus fracture
4. Tibia fracture

Correct answer: 3. Humerus fracture

Explanation: Ans. is 'c' i.e.. Humerus fracture Name of the caseUseo Minerva castCervical spine diseaseo Risser's castScoliosiso Turn-buckle castScoliosiso Shoulder spicaShoulder immobilisationo U-slabFracture of the humeruso Hanging castFracture of the humeruso Code's castColles' fractureo Hip spicaFracture of the femuro Cylinder castFracture of the patellao PTB castFracture of the tibia